In HIV infected individual , Gram stain of lung aspirate shows yeast like morphology. All of the following are the most likely diagnosis except -
1. Candida tropicalis
2. Cryptococcus neoformans
3. Pencillium marneffi
4. Aspergillus fumigatus

Correct answer: 4. Aspergillus fumigatus

Explanation: Cryptococcus is yeast (GPRBYC: Gram positive round budding yeast cell) and candida (GPOBYC: Gram positive oval budding yeast cell) is yeast like fungus. Penicillium marneffi is a dimorphic fungi which can produce yeast like form (all dimorphic fungi have yeast form in host tissue). Aspergillus is neither a yeast nor yeast like. It is a mould (hyphae).